Acid fastness of tubercle bacilli is attributed to ?
1. Presence of mycolic acid
2. Integrity of cell wall
3. Both of the above
4. None of the above

Correct answer: 3. Both of the above

Explanation: Ans. is 'c' i.e., Both of the above Acid fastness has been ascribed variously to the presence in the bacillus of the unsaponifiable wax (mycolic acid) or to a semipermeable membrane around the cell. It is related to the integrity of the cell wall and appears to be a property of lipid-rich waxy cell wall. Acid fastness is not a property of lipids alone but depends also on the integrity of the cell wall. - Ananthanarayan